Galton's system is used to -
1. Dactylography
2. Poroscopy
3. Ridgeology
4. None

Correct answer: 1. Dactylography

Explanation: Galtons system or dermatoglyphics is study of impressions formed by papillary ridges of fingertips. It was first used in India by William Herschel and modified by Sir Francis Galton ref :.Dr.K.S.Narayana Reddys Synopsis of Forensic Medicine & Toxicology 27th edition pg. 47.